Mechanism of action of Rituximab?
1. Targets CD 20 antigen
2. Targets CD 52 antigen
3. Targets CD 22 antigen
4. Targets CD 38 antigen

Correct answer: 1. Targets CD 20 antigen

Explanation: Rituximab acts on CD 20 B cell antigen and useful in Hodgkins lymphomaRef: Sharma and Sharma 3rd ed/pg 874